Malignant melanoma Which exists solely in vertical growth phase:
1. Follicular melanoma.
2. Nodular melanoma.
3. Granular melanoma.
4. Hyperplastic melanoma.

Correct answer: 2. Nodular melanoma.